Stellate ganglion block is useful in :
1. sudeck osteodystrophy
2. compound palmar ganglion
3. tenosynovitis
4. osteoarthritis of first CMC joint

Correct answer: 1. sudeck osteodystrophy

Explanation: Ans. is 'a' i.e sudecks osteodystrophy Sudecks osteodystrophy has been explained earlier.Other OptionsCompound palmar ganglion It is tubercular chronic tenosynovitis of the flexor tendons of the forearm at the level of wrist.Clinical presentationthere is gradual onset of swelling, with mild aching pain in the region of affected tendon sheaths. The function of the fingers and thumb are impaired.Treatment:Mild cases : Conservative treatment i.e wrist and forearm immobilized in plaster of paris for 2 months and ATT.Severe cases : Sx t/t(excision thoroughly all the thickened and edematous synovial membrane)Tenosynovitis - Inflammation of the synovial lining of a tendon sheath.It may arise from mechanical irritation or from bacterial infection.Treatment of mechanical or frictional tenosynovitis (also known as repetitive stress syndrome) -Trial of local injections of hydrocortisone. If unsuccessful then immobilize the wrist and forearm in POP cast for 3 weeks.t/t of infective tenosynovitis -Acute is treated with antibioticschronic is treated as compound palmar ganglion.Osteoarthritis - Treatment modalities does not include any ganglion block.